Occulomotor nerve supplies all extraocular muscles except ?
1. Superior rectus
2. Inferior rectus
3. Lateral rectus
4. Medial rectus

Correct answer: 3. Lateral rectus

Explanation: Ans. is 'c' i.e., Lateral rectus